True about hernia -
1. External abdominal hernia is common
2. Direct hernia usually acquired
3. Strangulation is common in femoral hernia
4. All

Correct answer: 4. All

Explanation: Ans. is 'a' i.e. Extra-abdominal hernia is common; 'b' i.e. Direct hernia is usually acquired; 'c' i.e. Strangulation is common in femoral hernia "External abdominal hernia is the most common form, the most frequent varieties being the inguinal femoral & umbilical, accounting for 75%" - Bailey & Love 24/e p1272] "Direct hernia is always an acquired type except the Ogilive hernia and occurs in elderly person" - S. Das 3/e p1095